Glucose detection can be done by the all except
1. Glucose oxidase
2. Ferric Chloride test
3. Dextrostix
4. Follin and Wu method

Correct answer: 2. Ferric Chloride test

Explanation: Ans: b (Ferric Chloride rest). Ref: Vasudevan 4th ed/p 191,102Ferric chloride test is positive in phenylketonuria and alkaptonuria. A transient blue green colour is seen when ferric chloride is added to the urine.Glucose oxidase test:-It is the most widely used. Used by autoanalysers. Glucose oxidase is very specific and acts only on beta-D-glucose. It is a quantitative test.Follin and Wu method is a reductometric method to estimate glucose colourimetrically. A later modification was Nelson Somogyi method.Dextrostix are strips used in glucometer.